Freezing point of normal human plasma is
1. 4degC
2. 0degC
3. _0.54degC
4. _1.54degC

Correct answer: 3. _0.54degC

Explanation: The freezing point of normal human plasma averages _0.54degC which corresponds to osmolar concentration in plasma of 290 mOsm/L The term tonicity is used to describe the osmolality of a solution relative to plasma A 0.9% saline solution and 4% glucose solution is isotonic when initially infused intravenously osmolarity= 2(Na+)(mEq/L)+0.055(glucose)(mg/dL)+0.36(BUN)(mg/dL) Red Robbins 9/e p420 and ananthanaraya